A 26 yr old asymptomatic woman is found to have arrthymias and a systolic murmur associated with Mid-systollic clicks ; which investigation would you use
1. Electrophysiological testing
2. Tc scan
3. Echocardiography
4. Angiography

Correct answer: 3. Echocardiography

Explanation: Ref Harrison 19 th ed pg 1546 The history suggests the diagnosis of ' Mitral valve prolapse' Investigation of choice for MVP is Echocardiography